Most common primary intraocular tumor in children
1. Retinoblastoma
2. Malignant melanoma of choroid
3. Malignant melanoma of ciliary body
4. Rhabdomyosarcoma

Correct answer: 1. Retinoblastoma

Explanation: Ans. (a) RetinoblastomaRef: Kanski 7/e, p. 510Retinoblastoma - most common intraocular tumor in children.Rhabdomyosarcoma - most common orbital malignant tumor in children.